The dose of radiation for point A for early and locally advancing cervical cancer during brachytherapy according to ABS guidelines is:
1. 70-75Gy- 75-80Gy
2. 75-75Gy- 80-85Gy
3. 80-85Gy- 85-90Gy
4. 85-90Gy- 90-95Gy

Correct answer: 3. 80-85Gy- 85-90Gy

Explanation: (Refer: John Hopkins’ Manual of Obstetrics & Gynecology, 4th edition, pg no: 554)
Brachytherapy of CA Cervix